In Bell's palsy, neurological lesion is seen in
1. Upper part of face
2. Upper and lower part of one half of face
3. Lower part of one-half of face
4. Upper and lower part of opposite side of face

Correct answer: 2. Upper and lower part of one half of face

Explanation: C/f of Bell's Palsy : Onset is sudden. Patient is unable to close his eye. Neurological lesion is seen in Upper and lower part of one half of face On attempting to close the eye, eyeball turns up and out (Bell's phenomenon). Saliva dribbles from the angle of mouth. Face becomes asymmetrical Tears flow down from the eye (epiphora). Pain in the ear may precede or accompany the nerve paralysis. Some complain of noise intolerance (stapedial paralysis) or loss of taste (involvement of chorda tympani). Paralysis may be complete or incomplete. Bell's palsy is recurrent in 3-10% of patients.